In the fracture of middle cranial fossa, loss of taste sensations from palate would be due to lesion in
1. Trigeminal ganglion
2. Deep petrosal nerve
3. Greater petrosal nerve
4. Cervical ganglion

Correct answer: 3. Greater petrosal nerve

Explanation: Greater petrosal nerve Middle cranial fossa fracture damages the petrous bone and thence, GP nerve lying on it. GP nerve carries the palatal taste fibres (SVA) to the geniculate ganglion